Key glycolytic enzymes in glycolysis are all except:
1. Phosphofructokinase
2. Hexokinase
3. Pyruvate kinase
4. Glucose-1, 6, diphosphatase

Correct answer: 4. Glucose-1, 6, diphosphatase

Explanation: Glycolysis/Embden-Meyerhof pathway is the sequence of reactions that converts glucose into pyruvate with the concomitant production of a relatively small amount of adenosine triphosphate (ATP)It is the initial process of most carbohydrate catabolism, and it serves three principal functions:Generation of high-energy molecules (ATP and NADH) as cellular energy sources as part of aerobic respiration and anaerobic respiration.Production of pyruvate for the citric acid cycle as part of aerobic respirationProduction of a variety of six- and three-carbon intermediate compounds, which may be removed at various steps in the process for other cellular purposesIn eukaryotes and prokaryotes, glycolysis takes place within the cytosol of the cell.